Which of the following is not seen in kwashiorkor?
1. Apathy
2. Flaky paint dermatosis
3. Baggy paint appearance
4. Increased transaminases

Correct answer: 3. Baggy paint appearance

Explanation: Baggy Paint appearamce--refer to loose skin of buttock hanging downSeen in MarasmusFlaky paint appearance:- Refer to hyperpigmentation depigmentation, desquamation which may be confluently seen in kwashiorkorApathy, increase liver enzyme is also seen in kwashiorkor(Refer: OP Ghai's Textbook of Pediatrics, 8th edition, pg no. 66, 67)